Which is true of malaria
1. Rods forms are seen in P. malariae
2. RBC size is more in R vivax
3. Relapse seen in P. falciparum
4. Male and female mosquito transmit disease

Correct answer: 2. RBC size is more in R vivax

Explanation: Ans. is 'b' i.e., R.B.C. size is more in P. vivax - RBC size is increased in P. vivax and P. ovale. - There is no relpase in P. falciparum due to absence of exoerythrocytic schizogony, but recrudesences can occur due to persistence of blood infection. - Female mosquito transmits the disease (not male mosquito). - P. malariae has band forms (not rod forms).